Urethral Crest is situated in ?
1. Prostatic Urethra
2. Membranous Urethra
3. Penile Urethra
4. Bulbar Urethra

Correct answer: 1. Prostatic Urethra

Explanation: Ans. is 'a' i.e., Prostatic UrethraPosterior wall of prostatic urethra has :?a) Urethral crest : median longitudinal mucus fold.b) Colliculus seminalis (verumonatanum) : An elevation in the middle of urethral crest with the opening of prostatic utricle at its summit and ejaculatory duct on each side.c) Openings of ejaculatory ducts : These are present on each side of the orifice of utricle.d) Prostatic sinuses : These are vertical grooves preseent one on each side of urethral crest. They present with openings of prostatic glands.